All are true about syndrome X except
1. Hyperglycemia
2. Hypoinsulinemia
3. Abdominal obesity
4. Hypertriglyceridemia

Correct answer: 2. Hypoinsulinemia

Explanation: Metabolic syndrome, sometimes known by other names, is a clustering of at least three of the five following medical conditions: central obesity, high blood pressure, high blood sugar, high serum triglycerides, and low serum high-density lipoprotein (HDL) Ref Robbins 9/e pg 170